True statement regarding cardiac tamponatea) Kussumal sign positiveb) Enlargement of the cardiac silhouettec) Promenent y descentd) Electrical alternanse) Muffled heart sounds
1. abc
2. ade
3. ace
4. bde

Correct answer: 4. bde